Garden's classification is applicable to
1. Intertrochanteric fracture
2. Fracture neck of femur
3. Epiphyseal separation
4. Posterior dislocation of hip

Correct answer: 2. Fracture neck of femur

Explanation: B i.e. Fracture neck of femur